Histiocytes are:
1. Scavenger cells
2. Allergic cells
3. Released in immunologic response
4. Leukocytes

Correct answer: 1. Scavenger cells